The pathological state that alerts the volume of distribution of many drugs is
1. Septicemia
2. Duodenal ulcers
3. Congestive heart failure
4. Hypertension

Correct answer: 3. Congestive heart failure